Shanti has been diagnosed to have brain tumor. You would prefer to give her betamethasone/dexamethasonc over hydrocoisonc as steroids to decrease her cerebral edema because:
1. They do not cause Na+ and water retention
2. They are more potent
3. They can be administered intravenously
4. They inhibit brain tumours

Correct answer: 1. They do not cause Na+ and water retention

Explanation: (Ref: KDT 6/e p285) Triamcinolone, betamethasone, dexamethasone and paramethasone are selective glucocorticoids (have zero mineralocorticoid action). These are preferred for cerebral edema because they lack salt and water retaining potential (mineralocorticoid action).